Which of the following exclusively involve neurouns-
1. Spinocerebellar ataxia
2. Supranuclear palsy
3. Corticobasilar degeneration
4. Multiple system atrophy

Correct answer: 1. Spinocerebellar ataxia